Condition to promote adipocere formation is
1. Dry and hot
2. Hot and humid
3. Dry and optimum
4. Cold and moist

Correct answer: 2. Hot and humid

Explanation: Factors facilitating formation of adipocere: Bodies covered with thick cloth and placed in air tight coffins Humid and warm atmosphere Stagnant air. Body parts where there is excess body fat Bodies buried in marshy places or clayey soil Bodies lying in deep stagnant water. Ref: FORENSIC MEDICINE AND TOXICOLOGY DR PC IGNATIUS THIRD EDITION PAGE 37